All of the following enzymes are regulated by calcium/calmodulin, EXCEPT
1. Hexokinase
2. Nitric oxide synthase
3. Pyruvate dehydrogenase
4. Phosphatidyl Inositol 3 kinase

Correct answer: 1. Hexokinase

Explanation: Calmodulin is a calcium dependent small regulatory protein homologous to troponin C. It can bind to 4 calcium ions, binding of calcium leads to conformational change and further effects. Calmodulin can be found as a component of multisubunit proteins like phosphorylase kinase. Some enzymes regulated by calcium/calmodulin: Adenylyl cyclase Guanylyl cyclase Nitric oxide synthase Glutamate decarboxylase Phosphatidyl Inositol 3 kinase Myosin light chain kinase cAMP phosphodiesterase Pyruvate dehydrogenase Phospholipase A2 Glycogen phosphorylase kinase Hexokinase is a constitutively expressed enzyme. It is inhibited by its product glucose-6-phosphate.